A patient prescribed crutches for residual paralysis in poliomyelitis is a type of -
1. Primary prevention
2. Primordial prevention
3. Disability limitation
4. Rehabilitation

Correct answer: 4. Rehabilitation

Explanation: Ans. is 'd' i.e., Rehabilitation Provision of aids for crippled is rehabilitation, e.g. prescription of crutches for PRPP. It is a type of tertiary prevention.